True for lithium:-
1. Delayed absorption
2. Narrow therapeutic index
3. Protein bound
4. Can be given safely in renal dysfunction

Correct answer: 2. Narrow therapeutic index

Explanation: LITIHIUM* Well absorbed orally(peal level in 2- 3 hours)* Not protein bounded * Handled by kidney * Very narrow therapeutic index * Lithium concentration for optimizing therapy - 0.5 -0.8meq/l - bipolar disorder - 0.8 -1.2meq/l - acute mania - >1.5meq/dl -toxicity * S/E - fine tremors - CNS toxicity - coarse tremors ,ataxia , hyperflexion, mental confusion - >2meq/l -muscle twitching , drowsiness ,convulsions ,coma* Diabetes insipidus * Weight gain * C/I - pregnancy - congenital defect (Ebstein anomaly is associated with lithium exposure)* USE - bipolar disorders - Acute mania